According to ICMR the most common cause of infant mortalilty is -
1. Prematurity
2. Diarrhoeal diseases
3. Congenital anomalies
4. Acute repiratory infection

Correct answer: 1. Prematurity

Explanation: Ans. is 'a' i.e., Prematurity The most common causes of Infant death are : o Prematurity & low birth weight (51%) o Acute respiratory infection (17%) o Diarrhoea] diseases (4%) o Congenital malformations (5%) o Birth injuries (3%) o Cord infection (2%)